All of the following are useful for treating acute bronchial asthma in children except?
1. 100% Oxygen
2. Hydrocortisone
3. Salbutamol
4. Sodium Cromoglycate inhalation

Correct answer: 4. Sodium Cromoglycate inhalation

Explanation: Cromolyn sodium inhibits the release of histamine, leukotrienes and other mediators from sensitised mast cells exposed to specific antigens. It has no intrinsic anti-inflammatory, antihistamine, or vasoconstrictive effects.